Sushila, 25 year old young lady presented with complaint of acute hirsuitism and hoarseness of voice. Which of the following should be the best investigation to be done for the diagnosis -
1. Blood pregnenolone levels
2. Blood DHEA levels
3. 17-ketosteroids level
4. LH and FSH levels

Correct answer: 2. Blood DHEA levels

Explanation: Ans is option 2 Blood DHEA levels Ref Harrison 17/e p303 ( t 50.2)